Most common cause of stridor shortly after birth
1. Laryngeal papilloma
2. Laryngeal web
3. Laryngomalacia
4. Vocal cord palsy

Correct answer: 3. Laryngomalacia

Explanation: Laryngomalacia is the most common congenital anomaly of larynx.Inspiratory stridor is the hallmark of this condition.Symptoms aggrevated when child is in supine position or crying.Condition is generally benign and self limited and most cases resolve by 18 months of age. Ref : Essential Pediatrics,O.P.Ghai,7th edition,Pg No:340